Recommended fat in prudent diet -
1. < 10-15%
2. < 5-10%
3. < 15-20%
4. < 20-30%

Correct answer: 4. < 20-30%

Explanation: Ans. is 'd' i.e., < 20 - 30% o Dietary modification is the principal preventive strategy in prevention of CHD. Recommended Prudent diet dietary goals are :-A) FATSi) Fat intake < 20-30% of total energy intake.ii) Saturated fat intake < 10-15% of total energy intake.iii) PUFA intake at least 6-10% of total energy intake (n-6 PUFAs 5-8% and n-3 PUFAs 1-2%).iv) Trans fatty acid intake < 1% of total energy intake.v) Cholesterol intake < 300 mg/day or < 100 mg/1000 kcal/day.B) Carbohydratesi) Total carbohydrate intake - 55-75% of total energy intake.ii) Increase in complex carbohydrate consumption.iii) Free sugar intake < 10%o of total energy intake.C) Othersi) Protein intake - 10-15% of total energy intake.ii) Salt intake < 5 gm/day (Sodium intake < 2 gm/day).iii) Fruits and vegetables intake - 400 gm per day.